Mutation in Marfan's syndrome is ?
1. Collagen I
2. Collagen IV
3. Fibrillin I
4. Fibrillin II

Correct answer: 3. Fibrillin I

Explanation: ANSWER: (C) Fibrillin IREF: Management of Genetic Syndromes by Suzanne B. Cassidy Judith E. Allanson Page 513Repeat Pathology 2012 Session 1, June 2011